Radical dissection of neck includes all except ?
1. Cervical lymph nodes
2. Sternocleido mastoid
3. Phrenic nerves
4. Internal jugular vein

Correct answer: 3. Phrenic nerves

Explanation: Ans. is 'c' i.e., Phrenic nerves